A 40 year male presents with hematemesis. On examination his BP was 90/60 mmHg and Heart Rate was 120/min. Splenomegaly was also present. The most probable cause of his bleeding is:
1. Portal Hypertension
2. Gastric ulcer
3. Duodenal ulcer
4. Drug-induced GI injury

Correct answer: 1. Portal Hypertension

Explanation: Ans is 'a' i.e. Portal hypertension Among the given options, splenomegaly is most likely to be associated with Portal hypertension.Causes of upper GI bleed (in descending order) Peptic ulcerDuodenal ulcersGastric ulcersOesophageal varicesGastritis, erosionsMallory-Weiss tearsUncommon causesGastric carcinomaEsophagitis PancreatitisHemobiliaVascular lesions